Sandhoff's disease is d/t absence of which enzyme?
1. Beta-hexosaminidase
2. Beta-glucuronibase
3. Aryl sulphatase
4. Alpha galactosidase

Correct answer: 1. Beta-hexosaminidase

Explanation: It is a lipid storage disease.Due to deficiency of hexaminidase.Leads to accumulation of globoside (Table;14.4)Ref: DM Vasudevan, 7th edition, page no: 193